Which one of the following is not an objective of trituration?
1. Remove oxides from powder particle surface
2. Keep the amount of gamma-1 or gamma-2 matrix crystals to maximum
3. Pulverize pellets into particles to aid in attack by mercury
4. Achieve a workable mass of amalgam in minimum time

Correct answer: 2. Keep the amount of gamma-1 or gamma-2 matrix crystals to maximum